Highest amount of saturated fatty acid is seen in –
1. Soyabean oil
2. Groundnut oil
3. Palm oil
4. Sunflower oil

Correct answer: 3. Palm oil

Explanation: Fatty acids 

On the basis of presence or absence of double bond fatty acids are divided into :-

1. Saturated fatty acids

Have no double bond.
Examples → Palmitic acid, lauric acid, stearic acid

2. Unsaturated fatty acids

Have one or more double bonds


Monounsaturated (Have single double bond) Oleic acid
Polyunsaturated (Have more than one double bonds) → Linoleic acid, Linolenic acid, Arachidonic acid, Eicosapentaenoic acid, Docosahexaenoic acid.

Coming to question 

Polyunsaturated are mostly found in Vegetable oils and the saturated fatty acids mainly in animal fats.
However, there are exceptions, as for example, coconut and palm oils, although vegetable oils, have on extremly high percentage of saturated acids on the other hand, fish oils, although they are not vegetable oils, contain poly and mono-unsaturated fatty acids.